In phenylketonuria FeC13 test with urine gives ...............color-
1. Green
2. Blue
3. Red
4. Purple

Correct answer: 1. Green

Explanation: Ans. is 'a' i.e., GreenDiagnosis o Elevated phenylalanine levelso Elevated blood tyrosine levelo Presence of urinary metabolites of phenylalanineo Guthrie's Test It detects the presence of phenylalanine in serumo FeCI, --> It detects the presence of phenylalanine in urine. FeCl3 is added to patients urine. If it contains phenylalanine, it will turn green.o 2-4 Dinitrophenol hydrazine --> gives yellow precipitate with old urine.